Gene transmitted but not translated:
1. Glycosyl transferase
2. t-RNA
3. Keratin
4. Histone

Correct answer: 2. t-RNA

Explanation: B i.e. t RNAAll RNA molecules (eg r RNA, tRNA, mRNA etc) are produced from transcription of DNAQ. Whereas, as a new strand of DNA is formed by DNA polymerase III enzyme in process of DNA synthesis/ replication. And complementary (c) DNA is prepared by using mRNA as a template by enzyme reverse transcriptase (= RNA dependent DNA polymrase)Q in process of reverse transcription.